Which of the following is most likely to be raised in patients with Atypical carcinoids
1. 5 HIAA
2. 5 HTP
3. VMA
4. Metanephrines

Correct answer: 2. 5 HTP

Explanation: Answer is B (5 HTP): Elevated levels of urinary 5 HTP is suggestive of an atypical carcinoid syndrome Note that patients with atypical carcinoid syndrome may have elevated levels of 5HT, 5HTP and 5HIAA, but the presence of increased urinary 5HTP is most typical feature to suggest on Atypical carcinoid